If a person has visual acuity 6/6. At what distance will he/she be able to read 6/24 lines
1. 6 metres
2. 24 metres
3. 36 metres
4. 48 metres

Correct answer: 2. 24 metres

Explanation: Answer- B. 24 metresVisual acuity 616 means that a Person with normal visual acutiy can read the smallest line at a distance of 6 meters.Visual acdty 6124 means that this person can read particular letters/lines at a distance of 6 meters which a person with normal visual acuity can read from a distance of 24 mm.